Potassium iodide is useful in the treatment of
1. Sporotrichosis
2. Impetigo
3. Viral was
4. Dermatitis herpetiformis

Correct answer: 1. Sporotrichosis

Explanation: Cutaneous and lymphocutaneous sporotrichosis have historically been treated with saturated solution of potassium iodide (SSKI). Although relatively inexpensive, SSKI is poorly tolerated by many patients because of frequent adverse effects. The orally available azole antifungals are the drugs of choice for cutaneous or lymphocutaneous sporotrichosis in developed nations. Ketoconazole has been used but is less effective than itraconazole or fluconazole; thus, ketoconazole is no longer indicated. Fluconazole is less effective than itraconazole. Itraconazole is the drug of choice for all types of sporotrichosis but CNS and disseminated sporotrichosis.Terbinafine has been demonstrated to be effective in the treatment of lymphocutaneous sporotrichosis, but no comparative data with itraconazole therapy exist. REFERANCE:emedicine.medscape.com